Stem cells are located in which region of hair follicle:
1. Bulb
2. Root
3. Bulge
4. Papilla

Correct answer: 3. Bulge

Explanation: Bulge REF: Gray's anatomy, 39th edition, page 159Stem cells are thought to reside mainly in the troughs of rete pegs, and in the outer root sheath bulge of the hair follicleStem Cell NichesStem cellOrganNicheEpidermal stem cellHair follicle, EpidermisHair follicle bulgeIntestinal stem cellIntestineBase of colonic crypt above paneth cellOval cell (liver stem cell)LiverCanal of herringCorneal stem cellCorneaLimbusNeural stem cellBrainOlfactory bulb, Dentate gyrus of hippocampusSatellite cellsSkeletal/Cardiac musclesBeneath the myocyte basal lamina